Prolonged use of antibiotics in children can result in
1. Necrotising ulcerative gingivtis
2. Candidiasis
3. Actinomycosis
4. Apthous ulcers

Correct answer: 2. Candidiasis